True About ostium premium ASD
1. Results in right axis deviation(RAD) on the ECG
2. Is seen in Holt-Oram syndrome
3. Less common form than secundum ASD
4. May be left to close spontaneously

Correct answer: 3. Less common form than secundum ASD

Explanation: Ostium secondum defects are the most common type of ASD, and they are seen in Holt-Oram syndrome.